Actinomycosis is commonly seen in -
1. Tibia
2. Mandible
3. Scapula
4. Femur

Correct answer: 2. Mandible